Investigation of choice in appendicitis in adults
1. CT Scan
2. USG
3. Serum ESR
4. MRI Abdomen

Correct answer: 1. CT Scan

Explanation: Answer- A. CT Scan